Ochronosis is seen in
1. Phenol poisoning
2. Oxalic acid poisoning
3. Nitric acid poisoning
4. Sulphuric acid poisoning

Correct answer: 1. Phenol poisoning

Explanation: Ochronosis It is the greenish black discoloration of tissues, mainly cartilages, fibrous tissues, and sclera. It is seen in alkaptonuria. It can also occur due to exposure to various substances like phenol, trinitrophenol, resorcinol, hydroquinone, benzene, picric acid, mercurry or antimalarials. Ref: FORENSIC MEDICINE AND TOXICOLOGY Dr PC IGNATIUS THIRD EDITION PAGE 415